Most common type of phagus in twins?
1. Craniophagus
2. Pygophagus
3. Thorachophagus
4. Ischiophagus

Correct answer: 3. Thorachophagus

Explanation: c. Thorachophagus(Ref: Nelson's 20/e p 820)Conjoined twins (Also called Siamese twins)Result from relatively late monovular separation; Types depending on the site of connections are: thoraco-omphalopagus (28% of conjoined twins), thoracopagus (18%), omphalopagus (10%), craniopagus (6%) & incomplete duplication (10%)